Low Osmolar ORS composition is?
1. Na 90 + 311 mosm
2. Na 75 + 245 mosm
3. Na 60 + 245 mosm
4. Na 60 + 240 mosm

Correct answer: 2. Na 75 + 245 mosm

Explanation: Ans. (b) Na 75 + 245 mosmRef.: OP Ghai 8th ed./294* WHO recommends a special ORS formulation, known as ReSoMal, for management of diarrhoea in severely malnourished children that contains a lower amount of sodium (45mmol/L) and higher amount of potassium (40 mmol/L) than the standard WHO-ORS.* It is felt that an ORS containing lower sodium and higher potassium concentration may be useful in correcting hypokalemia, and in lowering the risks of excess sodium and /or over-hydration, in severely malnourished children with diarrhea.